Which of the following drugs inhibits post translational modification of viral proteins ?
1. Indinavir
2. Enfuvirtide
3. Lamivudine
4. Zalcitabine

Correct answer: 1. Indinavir